Which test is not useful in a patient with history of Syncopal attack?
1. Electrophysiological testing
2. Tilt Table testing
3. PET Scan
4. Holter monitoring

Correct answer: 3. PET Scan

Explanation: Answer is C (PET Scan) : PET scan has- not been mentioned as a test to investigate syncope in Harrisons text. It is the single best answer of exclusion. Electrophysiological tests and 24 hour ECG Holter monitoring are indicated in patients where history suggests a cardiac disease. Upright tilt table testing is indicated for suspected neurogenic / vasodepressor syncope in patients with normal history / examination. Invasive Cardiac Electrophysiologic testing : provides diagnostic and prognostic information regarding Sinus Node function, AV conduction and Supraventricular and Ventricular arrhythmia. Holter monitor : provides 24 - 48 hours monitoring of ECG rhythm on an outpatient basis and is indicated for detection of conduction abnormalities. Upright tilt table testing : Is a test for vasodepressor / neurogenic syncope in patients with normal history / examination. In susceptible patients upright tilt at an angle between 60deg to 80deg for 30 to 60 minutes induces a vasovagal episode. Indications for Table Tilt test include : Recurrent syncope - Single syncope episode that caused injury - Single syncope event in high risk setting (pilot, commercial vehicle driver) Syncope The choice of diagnostic test should be guided by the history and physical examination For All patients Serum electrolytes Glucose Haematocrit